Bornholm's disease is caused by:
1. HSV
2. HBV
3. Coxsackie B virus
4. HPV

Correct answer: 3. Coxsackie B virus

Explanation: Bornholm's disease is caused by Coxsackie B virus. Difference between group - A and Group - B Coxasackieviruses Group A coxsackieviruses Group B coxsackieviruses Suiciding mouse intracerebral inoculation * Flaccid paralysis * Generalized myositis * Spastic paralysis in mice * Focal myositis and necrosis of brown fat Manifestations * Aseptic meningitis (A7, A9) * Herpangina (vesicular pharyngitis) * Hand - foot - and - mouth disease (also by enterovirus: 71) * Acute hemorrhagic conjunctivitis: Caused by coxsackie virus - A24 and enterovirus 70 More organ involvement seen * Aseptic meningitis (B1-6) * Pleurodynia (epidemic myalgia or Bornholm disease) * Myocarditis, pericarditis * Hepatitis * Pancreatitis leading to Juvenile diabetes mellitus: Coxsackie B4 * Pneumonia * Generalized disease of infants Host cell receptor Intercellular adhesion molecule 1(ICAM-1) is a receptor for Coxsackieviruses A13, A18, and A21 CAR (Coxsackievirus and adenovirus receptor) is the receptor for: * All group B coxsackieviruses * Group C adenoviruses